Nerve that may be injured in submandibular incision:
1. Marginal mandibular branch of the facial nerve
2. Hypoglossal nerve
3. Mylohyoid nerve
4. Lingual nerve

Correct answer: 1. Marginal mandibular branch of the facial nerve